Disturbed orientation is seen in -
1. Schizophrenia
2. Neurosis
3. Paranoid personality
4. Organic mental disorder

Correct answer: 4. Organic mental disorder

Explanation: A significant disturbance in cognitive functions (confusion, disorientation, memory impairment, impaired concentration & attention, impaired consciousness) commonly points to the presence of organic psychiatric disorder.